Dome shaped centrally umbilicated papules seen in
1. Molluscum contagiosum
2. Small pox
3. Chicken pox
4. Measles

Correct answer: 1. Molluscum contagiosum